During disaster management green code is given for
1. Dead patients
2. Medium priority treatment
3. Highest priority treatment
4. Ambulatory patients

Correct answer: 4. Ambulatory patients